Oxyhemoglobin saturation does not depend upon?
1. Temperature
2. Fetal haemoglobin and adult haemoglobin ratio
3. Skin color
4. 2,3 DPG

Correct answer: 3. Skin color